Maximum risk of pancreatitis is present with:
1. Didanosine
2. Lamivudine
3. Zidovodine
4. Abacavir

Correct answer: 1. Didanosine

Explanation: Didanosine (ddl) It is a purine nucleoside analogue which after intracellular conversion to didanosine triphosphate competes with ATP for incorporation in viral DNA, inhibits HIV reverse transcriptase and terminates proviral DNA. Antiretroviral activity of didanosine is equivalent to AZT. Mutational resistance develops, but only few AZT resistant mutants are non-responsive to didanosine also. Now it is used only in combination regimens. The major dose-related toxicity is penpheral neuropathy and rarely pancreatitis. Diarrhoea, abdominal pain and nausea are the side effects. ESSENTIALS OF MEDICAL PHARMACOLOGY K.D.TRIPATHI SIXTH EDITION PAGE NO:771